The following are autosomal dominant disorders except
1. Mytonic dystrophy
2. Von Willebrand disease
3. Haemochromatosis
4. Marfan's syndrome

Correct answer: 3. Haemochromatosis

Explanation: Iron overload indicates accumulation of iron in the body from any cause. The most important causes are hereditary haemochromatosis (HHC), a genetic disorder, and transfusional iron overload, which can result from repeated blood transfusions Ref Robbins 9 /e pg 170